The tertiary structure of protein is detected by
1. X-ray diffraction/crystallographs.
2. Spectrophotometry
3. Electrophoresis
4. Chromatography

Correct answer: 1. X-ray diffraction/crystallographs.